Which of the following types of HPV is least associated with cervical malignancy?
1. Type 16
2. Type 31
3. Type 33
4. Type 42

Correct answer: 4. Type 42

Explanation: More than 90% of CIN is attributed to human papillomavirus (HPV) infection. Only certain types of HPV cause high-grade intraepithelial lesions and cancer (HPV-16, -18, -31, -33, -35, -39, -45, -51, -52, -56, -58, -59, -68). Type 16 is the most common form of HPV found in invasive cancer and in CIN 2 and CIN3; HPV-18 is more specific than HPV-16 for invasive tumors i.e. HPV 18 is the most malignant. Please note: Usually, HPV infections do not persist. Most women who are exposed have no clinical evidence of disease, and the infection is eventually suppressed or eliminated. VACCINES FOR HPV :- CERVARIX:- 16 & 18 GARDASIL:- 6,11,16,18 GARDASIL-9:- An additional five high risk subtypes(HPV 31/33/45/52/58)